FALSE statement about parotid gland is
1. Divided into two parts by facial nerve
2. Deep lobe contains majority of lymph nodes
3. Duct opens opposite upper 2nd molar tooth
4. Lesser petrosal nerve innervates it

Correct answer: 2. Deep lobe contains majority of lymph nodes

Explanation: Parotid gland is the largest of the salivary glands, divided by facial nerve into two parts: superficial and deep. Numerous intraglandular lymph nodes are present, virtually all found superficial (not deep) to the facial nerve. The parotid duct opens in the oral vestibule opposite maxillary 2nd molar tooth. Lesser petrosal nerve brings secretomotor fibers to the gland. The following figure shows a transverse section of parotid gland and its relations.